All are the characteristics of cellulitis, EXCEPT
1. Acute onset
2. Doughy to indurated consistency
3. Caused by aerobic bacteria
4. Well circumscribed

Correct answer: 4. Well circumscribed